Following drugs are effective in cases of pneumocystis jirovecii EXCEPT
1. Pentamidine
2. Trimethoprim-dapsone
3. Clindamycin plus primaquine
4. Cefepime

Correct answer: 4. Cefepime

Explanation: Trimethoprim-sulfamethoxazole,which acts by inhibiting folic acid synthesis,is considered the drug of choice for all forms of Pneumocystis jirovecii pneumonia.Therapy is continued for 14 days in non-HIV infected patients & for 21 days in persons infected with HIV.Alternative regimens include TMP plus dapsone and clindamycin plus primaquine.Parenteral pentamidine is also effective. Reference:. Davidson edition23rd pg 584